Which among these has a moderately increased risk to develop into invasive breast carcinoma?
1. Apocrine metaplasia
2. Ductal papillomatosis
3. Atypical ductal hyperplasia
4. Sclerosing adenosis

Correct answer: 3. Atypical ductal hyperplasia

Explanation: Cancer risk associated with Benign breast disease and carcinoma in situ Abnormality Relative risk Non proliferative lesions No increased risk Sclerosing adenosis No increased risk Duct papilloma No increased risk Florid hyperplasia 1.5- 2 X Atypical ductal hyperplasia 4 X Atypical lobular hyperplasia 4 X Ductal involvement by cells of Atypical ductal hyperplasia 7 X LCIS 10 X DCIS 10 X